Which hormone stimulates respiration?
1. Estogon
2. Progesterone
3. Corticosteroids
4. Prolactine

Correct answer: 2. Progesterone

Explanation: Progesterone a steroid sex hormone that is the principal progestational agent; it plays a major part in the menstrual cycle. During the maturation of the secondary oocyte (ovum), estrogen, the principal female sex hormone, is produced at a high rate.Ref: Ganong's review of medical physiology, 23ed edition, page no: 418